Indications of classical cesarean section are all except
1. Densely adhered bladder
2. Leiomyoma in lower segment
3. Breech presentataion
4. Back-down transverse fetal lie

Correct answer: 3. Breech presentataion

Explanation: Breech presentation is not an indication for cesarean section unless fetus is very small or poorly developed lower uterine segment provides inadequate space for manipulations required for breech delivery.